Most common salivary gland malignant neoplasm in bones:
1. Pleomorphic adenoma.
2. Adenoid cystic carcinoma.
3. Mucoepidermoid carcinoma.
4. Adenolymphoma.

Correct answer: 3. Mucoepidermoid carcinoma.

Explanation: Central mucoepidermoid carcinoma of jaw is more common in mandible, especially in premolar-molar area. These lesions originate due to

Entrapment of retromolar glands within the mandible.
Due to inclusion of remnants of submaxillary glands within the mandible.